Colorado stain" was discovered by (OR) The term colorado satin was given by
1. Green
2. McKay
3. Dean
4. Knutson

Correct answer: 2. McKay